Treatment of rectal prolapsed in childhood is:
1. Lahaut's operation
2. Incision of prolapsed mucosa
3. Thiersch wiring
4. Ripstein operation

Correct answer: 3. Thiersch wiring

Explanation: Ans. (c) Thiersch wiringRectal prolapse in childhood:* Most common in age 8-12 months* Usually follows an episode of severe diarrhea due to loss of perirectal pad of fat* It may also follow pin worm infestation and malabsorption.* Conservative management:# Control diarrhea, worm infestation and correct malnutrition# Surgery is reserved if there is persistent disease after manual reduction* Options in childhood:# 5% phenol in olive oil injected Submucosally# Thiersch encirclage operation.# Lockhart Mummery rectopexy